Most common type of multiple sclerosis?
1. Relapsing remitting type
2. Secondry progressive multiple sclerosis
3. Progresive relapsing multiple scelrosis
4. Primary progresive multiple sclerosis

Correct answer: 1. Relapsing remitting type

Explanation: Ans. is 'a' i.e., Relapsing remitting types There are four types of multiple sclerosis: -Repapsing-remitting multiple sclerosis (RRMS)o This is the most common form of multiple sclerosis.o About 85% of people with M.S. are initially diagnosed with relapsing-remitting multiple sclerosis.Secondary progressive multiple sclerosiso In secondary progressive multiple sclerosis, symptoms worsen more steadily overtime with or without the occurence of relapses and remissions. Most people who are diagnosed with RRMS will transition to SPMS at some point.Primary progressive multiple sclerosis (PPMS)o Not very commono Seen in only 10%o Characterized by slowly worsening symptoms from the beginning with no relapses or remissions.Pregressive - Relapsing MS (PRMS)o A rare form of MSo Seen only in 5%o It is characterized by steadily sorsening diseased state from the beginning with acute response but no remissions with or without recovery.